Alternative drug for cardiac arrest in place of epinephrine that has been removed from the AHA/ACLS Cardiac arrest Algorithm?
1. Amiodarone
2. Atropine
3. Vasopressin
4. Adenosine

Correct answer: 3. Vasopressin

Explanation: Although VAsopressin is an effective alternative to Epinephrine, it has been removed from the AHA/ACLS Cardiac Arrest Algorithm (to simplify the algorithm) since its 2015 Update. Vasopressin in AHA ACLS Cardiac Arrest Algorithm Since 2015 Update: Vasopressin has been removed from the AHA ACLS Cardiac arrest Algorithm and is no longer used in ACLS protocol (to simplify the algorithm) Clinical studies have shown that both epinephrine and vasopressin are effective for improving the chances of return of spontaneous circulation during cardiac arrest. The combined use of Vasopressin doesnot offer any significant advantage over the use of epinephrine alone. Therefore, to simplify the algorithm, vasopressin has been removed from the Adult Cardiac Arrest Algorithm. Although Vasopressin has been removed from the AHA ACLS Cardiac Arrest Algorithm remains an Effective alternative to Epinephrine in cases of Cardiac Arrest especially in 'Asystolic' cardiac arrest (Pulseless arrest) Ref: ACLS-15 guidelines